Which of the following muscles forms the floor of the digastric triangle?
1. Mylohyoid
2. Geniohyoid
3. Stylohyoid
4. Sternohyoid

Correct answer: 1. Mylohyoid

Explanation: Ans. is 'a' i.e., Mylohyoid Digastric triangle* This triangle is bounded -i) Above by base of mandible and a line extending its angle to mastoidii) Below and in front by anterior belly of digastriciii) Below and behind by posterior belly of digastric and stylohyoid.* Floor is formed by mylohyoid and hyoglossus.* Its contents arei) In anterior partSubmandibular gland, facial artery, facial vein, submental artery, mylohyoid nerve and vessels, hypoglossal nerve and submandibular lymph nodes. All these structures are superficial to mylohyoid.ii) In posterior partLower pole of parotid gland, ECA and its posterior auricular branch, glossopharyngeal nerve, styloglossus and stylopharyngeus muscles, ICA, vagus nerve and IJV.